Thurston Holland sign is seen in ?
1. Type I
2. Type II
3. Type III
4. Type IV

Correct answer: 2. Type II

Explanation: Ans. is 'b' i.e., Type II Epiphyseal (Physeall Injuries o The junction between the metaphysis and epiphysis, i.e. physeal plate/growth plate, is the weakest point of a long bone in children and is, therefore, most vulnerable to shearing forces. o Salter and Harris have classified epiphyseal injuries into five types ? Type I : Complete separation of epiphysis from the metaphysis without fracture. Common in rickets, scurvy and osteomyelitis. Type II: The fracture involves the physis and a triangle of metaphyseal bone (Thurston Holland sign).This is the commonest type of epiphyseal injury accounting for 73 percent of cases over 10 years of age. Type III: The fracture is intra- articular and extends along the physis and then along the growth plate. This injury is relatively uncommon. Type IV: The fracture is intra- articular and extends through the epiphysis, physis and metaphysis. Perfect reduction is necessary and open reduction is more often necessary to prevent growth arrest. Type V : Crushing of epiphysis. Growth arrest usually follows. Type VI (Rang's type) : There is a peripheral physis (perichondrial ring) injury.